Good prognosis in schizophrenia is indicated by:
1. Soft neurological signs
2. Affective symptoms
3. Emotional Blunting
4. Insidious onset

Correct answer: 2. Affective symptoms

Explanation: Good Prognostic Factors Poor Prognostic Factors (1) Late Onset (1) Younger age of onset (2) Catatonic features (2) Disorganized type (3)Pyknic Built (3) Asthenic built (4) No Family history (4) Family history present (5)Acute onset 5) Chronic type (6) Emotions are preserved (6) Blunting of affect or atypical Feature Present (7)Type I (7) Type II